Combination of sulfamethoxazole and trimethoprim is synergistic due to
1. Enhanced entry into bacteria
2. Sequential blockade in folate metabolism
3. Inhibition of drug inactivation enzymes
4. Inhibition of drug efflux

Correct answer: 2. Sequential blockade in folate metabolism